True about zero order kinetics ?
1. Most of the drugs follow zero order kinetics
2. T1/2 of drug elimination remains constant
3. Constant amount of drug eliminated per unit time
4. Rate of elimination is dependent on plasma concentration

Correct answer: 3. Constant amount of drug eliminated per unit time

Explanation: Ans. is 'c' i.e., Constant amount of drug eliminated per unit time